False about partial mole:
1. Caused by triploidy
2. Can be diagnosed very early by USG
3. Can present as missed abortion
4. Rarely causes persistent GTD

Correct answer: 2. Can be diagnosed very early by USG

Explanation: A partial mole may not present with the classical features of a complete mole .Vaginal bleeding is a usual symptom.Many a time it may present as an incomplete or missed abortion and be diagnosed only after histopathological examination.If a fetus is present it may have the stigmata of triploidy like early onset intrauterine growth restriction and hydrocephalus (refer pgno:170 obstetrics sheila 2 nd edition)